In Mellennium Development Goals (MDGs), how many goals are health related?
1. 1 out of 8
2. 2 out of 8
3. 3 out of 8
4. 4 out of 8

Correct answer: 3. 3 out of 8

Explanation: The MDGs place health at the heart of development and represents commitments by governments throughout the world to do more to reduce poverty hunger and to tackle ill-health.Three of the 8 goals ,8 of the 18 targets required to achieve them and 18 of the 48 indicators of progress are health related (refer pgno:893 park 23rd edition)